Macrosomia is a
1. Large size baby
2. Big mouth
3. Large head
4. Large tongue

Correct answer: 1. Large size baby

Explanation: Macrosomia:- A condition where a baby is large before bihFactors causing macrosomia:Mother having diabetesMother having gestational diabetesObese mother(Refer: Nelson's Textbook of Pediatrics, SAE, 1st edition, pg no. 777, 897 - 899)